All are true about membranous conjuctivitis except
1. Easy to peel
2. Caused by corynebacterium
3. May lead to cicatrisation
4. May cause corneal ulceration

Correct answer: 1. Easy to peel

Explanation: A true membrane bleeds on peeling Refer Khurana 6th edition page number 62